Flapping tremors are seen in the following conditions except -
1. Uremic encephalopathy
2. Parkinsonism
3. Hepatic encephalopathy
4. Carbon dioxide narcosis

Correct answer: 2. Parkinsonism